Which of troponin binds to tropomyosin to form troponin-tropomyosin complex?
1. I
2. c
3. t
4. m

Correct answer: 3. t